Angle formed between mandibular plane and the long axis of mandibular central incisor is:
1. 90° ± 5°
2. 25°
3. 120°
4. 80°± 2°

Correct answer: 1. 90° ± 5°